Velocity of x-rays are:
1. 1 lakh miles/sec.
2. 2 lakh miles/sec.
3. 3 lakh miles/sec.
4. 0.5 lakh miles/sec.

Correct answer: 2. 2 lakh miles/sec.